Suggested criteria for the clinical diagnosis of Polycythemia vera (PV) include all except -
1. Low arterial oxygen saturation
2. Elevated red cell mass
3. Increased counts of cells of all lineages
4. Splenomegaly

Correct answer: 1. Low arterial oxygen saturation

Explanation: In polycythemia vera,erythrocytosis occurs,so red cell mass increases. It is characterised by pancytosis(increased red cells,granulocytes,platelet).Splenomegaly producing abdominal fullness will be also present.There is increased arterial oxygen saturation in polycythemia vera.

Reference :Harsh mohan textbook of pathology sixth edition pg no 359.